Wilson's disease is characterized by ?
1. Increased serum ceruloplasmin
2. Decreased copper excretion in urine
3. Increased copper in liver
4. Autosomal dominant

Correct answer: 3. Increased copper in liver

Explanation: Ans. is 'c' i.e., Increased copper in liver Diagnosis of Wilson disease The gold standard for diagnosis is liver biopsy with quantitative copper assay - concentration of copper in a liver biopsy sample > 200 mg/g dry weight. Other tests are ? Serum ceruloplasmin level - low Urine copper excretion - increased KF rings DNA Haplotype analysis.